In managing cardiac arrest patient the sequence from A-B-C to C-A-B was changed in which year-
1. 2005
2. 2010
3. 2000
4. 2016

Correct answer: 2. 2010

Explanation: This was changed because there is enough oxygen in the blood to supply the heart and the brain for several minutes following cardiac arrest chest compression are needed to circulate this oxygen.